Insulin acts on
1. Gs receptor
2. Nuclear receptor
3. Tyrosine kinase receptor
4. Ligand gated receptor

Correct answer: 3. Tyrosine kinase receptor

Explanation: Insulin, Prolactin, Growth hormone acts on Tyrosine kinase receptors.